Which of the following is not seen in a chronic case of sickle cell anemia
1. Hepatomegaly
2. Pulmonary hypertension
3. Cardiomegaly
4. Splenomegaly

Correct answer: 4. Splenomegaly

Explanation: Ref Harrison 19 th ed pg 634 venooc- clusive component usually dominates the clinical course. Prominent manifestations include episodes of ischemic pain (i.e., painful crises) and ischemic malfunction or frank infarction in the spleen, central nervous system, bones, joints, liver, kidneys, and lungs .